Which anaesthetic gas is contraindicated in the presence of pneumothorax ?
1. Halothane
2. Isoflurane
3. Nitrous oxide
4. Chloroform

Correct answer: 3. Nitrous oxide